Which of these muscles undergoes wasting first in osteoarthritis knee?
1. Quadriceps only
2. Hamstrings only
3. Both quadriceps and Hamstrings
4. Gastronemius

Correct answer: 1. Quadriceps only

Explanation: All periarticular muscles around the knee joint may undergo wasting in advanced osteohritis knee. However muscle atrophy particularly involves the quadriceps which is the earliest muscle to undergo wasting. Ref: Turek s Orthopaedics 2nd Edition, Page 1368.